High ceiling diuretics are useful in the treatment of all of the following conditions except ?
1. Generalized edema
2. Cerebral edema
3. Acute pulmonary edema
4. Pulmonary hypertension

Correct answer: 4. Pulmonary hypertension

Explanation: Ans. is `d' i.e., Pulmonary hypertension